The cardiovascular parameter which is the best indicator of vagal tone?
1. Heart rate
2. Stroke volume
3. Ejection fraction
4. Diastolic blood pressure

Correct answer: 1. Heart rate

Explanation: There are central influences for heart rate. Medullary centers are cardioinhibitory center and vasomotor centre. There is a constant discharge of impulses from CIC through the vagus which influences the activity of the heart.Continuous stream of impulses from CIC to heart is responsible for vagal tone which is very prominent in humans. Ref: Textbook of medical physiology by N Geetha, 2nd edition, page no. 161,162